Increased oxygen delivery during prematurity causes all except -
1. Vasoconstriction
2. Vasodilation
3. Vaso-obliteration
4. Neovascularisation

Correct answer: 2. Vasodilation

Explanation: Ans. is'b'i.e., VasodilationOxygen causes tissue injury through the formation of reactive oxygen intermediates and peroxidation of membrane lipids.Premature infants, who have severely reduced antioxidant defences, are particularly sensitive to the toxic effects of oxygen.Supplemental oxygen in premature infants contributes to the development of chronic lung disease characterized by:Dysregulated inflammationAltered expression ofproteases and growth factors.FibrosisAsymmetric aerationRespiratory insufficiencyVasoconstriction in the retinaVaso-obliteration